Which of these is irritating for skin so not used as disinfectant for skin preperarions
1. Chlorhexidine
2. Hypochlorite
3. Alcohol
4. Cyclopropane

Correct answer: 2. Hypochlorite

Explanation: Sodium hypochlorite is corrosive & irritative to skin can cause chemical burns if applied to skin directly; so not used as skin disinfectant.
Sodium hypochlorite it is a powerful disinfectant used for dairy.
It is unstable and too irritating to be used as antiseptic, except for RCT in dentistry.
In high concentration, hypochlorite becomes unsafe, hence may be marked as answer of choice

Alcohols

They act on bacteria, fungi, some enveloped virus (like HIV); but not spores.
They act by denaturing proteins and possibly by dissolving membrane lipids.
Ethyl alcohol is used as surgical spirit (70%) in hand rubs as antiseptics.
Isopropyl alcohol: Used for clinical thermometers.

Glutaraldehyde: Used as 2% concentration (2% cidex) for 20 min
Chlorhexidine: It is an active ingredient of savion (chlorhexidine and cetrimide)
Chloroxylenol: It is an active ingredient of dettol